All are second messenger except
1. Cyclic AMP
2. Gaunylyl cyclase
3. Diacycglycerol
4. Inositol triphosphate

Correct answer: 2. Gaunylyl cyclase

Explanation: remember that guanylyl cyclase an enzyme while cGMP is a secondary messenger Types ot secondary messenger are There are three basic types of secondary messenger molecules Hydrophobic (DAG) Hydrophilic(cAMP) Gases(NO) Ref-KDT 7/e p47,48